Ringertz Tumour is seen commonly in -
1. Nose and sinuses
2. Stomach
3. Upper part of neck
4. Mediastinum

Correct answer: 1. Nose and sinuses

Explanation: Ans. is 'a' i.e., Nose and sinuses "Inverted papilloma of nose" -o It is also called Schneiderian papilloma, squamous papilloma or papillomatosiso It is a polypoid mass occuring on the lateral nasal wall typically in middle aged men.o The name is derived from its histologic appearance of on inverted proliferative growth patterno The significance of this lesion lies in its association with concurrent (8%) and subsequent (4%) invasive squamous cell carcinoma.